A patient presents with signs of pneumonia. The bacteria obtained from sputum was a Gram-positive coccus which showed alpha hemolysis on sheep agar. Which of the following test will help to confirm the diagnosis
1. Bile solubility
2. Coagulase test
3. Bacitracin test
4. CAMP test

Correct answer: 1. Bile solubility

Explanation: The organism is likely to be streptococcus pneumoniae which is gram-positive, diplococci in flame shape or lanceolate shape. Catalase test: Streptococcus pneumoniae does not produce catalase thus gives a negative catalase test. Bile solubility test: Streptococcus pneumoniae are bile soluble. If a few drops of 10% sodium deoxycholate solution are added to 1 ml of an overnight broth culture, the culture clears due to the Lysis of cocci. Alternatively, if a loopful of 10 % deoxycholate solution is placed on a Streptococcus pneumoniae colony on blood agar, the colony lyses within a few minutes. Bile solubility is a constant property of Streptococcus pneumoniae and is of diagnostic importance from other streptococci. Principal: based on the presence of an autolytic amidase in Streptococcus pneumoniae that cleaves the bond between an alanine and muramic acid in the peptidoglycan. The amidase is activated by surface active agents such as bile or bile salts. Reference: Textbook of Microbiology; Anathanarayan and panicker's; 10th edition; Page no: 224